Cell matrix adhesions are mediated by
1. Cadherins
2. Integrins
3. Selectins
4. Calmodulin

Correct answer: 2. Integrins

Explanation: Integrins
Have alpha (CD11) and beta (CD18) subunits and play a role in cell-ECM interactions as well as in leucocyte-endothelial cell interaction.